If a child's teeth do not form, this would primarily affect the growth of the:
1. Maxilla
2. Mandible
3. Whole face
4. Alveolar bone

Correct answer: 4. Alveolar bone

Explanation: Key Concept:
If teeth do not form, this would primarily aﬀect the growth of the alveolar bone.